Spinal shock is characterised by -a) Spasticityb) Wastingc) Sensory lossd) urinary retentione) Areflexia
1. abd
2. acd
3. bde
4. cde

Correct answer: 4. cde